Percentage of gallstones that are radio opaque
1. 10%
2. 20%
3. 30%
4. 40%

Correct answer: 1. 10%

Explanation: Most (upto 90%)of gall stones are radio lucent Upto 10% of gallstones are radio opaque Ref: Bailey and love 27th edition Pgno : 1121 Most(upto 90%) kidney stones are radio opaque